Aldosterone is known to cause sodium retention. Its Na+ retaining action is exerted on which part of the nephron?
1. Proximal convoluted tubule
2. Ascending limb of loop of Henle
3. Collecting ducts
4. Early distal convoluted tubule

Correct answer: 3. Collecting ducts

Explanation: * Aldosterone is the principal mineralocorticoid. It stimulates the reabsorption of Na+ and excretion of K+ and H+ by its action on late distal tubules and collecting ducts.